Which malignancy would occur in prolonged multinodular goitre:
1. Papillary Ca
2. Follicular Ca
3. Anaplastic Ca
4. Medullary Ca

Correct answer: 2. Follicular Ca

Explanation: Ans. is 'b' ie Follicular Ca In a multinodular goitre carcinoma is rare and is usually of follicular pattern.Other important points about thyroid malignancy:MC type of thyroid cancer after radiation - Papillary Ca*Latent period for radiation induced thyroid Ca - about 30 yrs *Type of thyroid cancer assoc with MEN synd - Medullary Ca*Thyroid Ca assoc with amyloidosis - Medullary Ca*Thyroid Ca assoc with dystrophic calcification - Papillary*Psammoma bodies are seen in - Papillary Ca*Orphan Annie-eyed nuclei are seen in - papillary Ca*Best prognosis of which thyroid Ca - Papillary Ca*Carcinoma derived from the C cells of thyroid - Medullary*